Which one of the following statement is true regarding pathogenicity of Mycobacteria species ?
1. M. tuberculosis is more pathogenic than M.bovis to the humans
2. M. Kansasii can cause a disease indistinguishable from tuberculosis
3. M.Africanum infection is acquired from the environmental source
4. M.Marinum is responsible for tubercular lymphadenopathy

Correct answer: 2. M. Kansasii can cause a disease indistinguishable from tuberculosis

Explanation: Ans. is 'b' i.e., M. Kansasii can cause a disease indistiguishable from tuberculosis M. Kansasii can produce pulmonary and systemic disease indistinguishable from tuberculosis - Jawetz . M tuberculosis and mycobacterium bovis are equally pathogenic for humans. Mycobacterium tuberculosis complex refers to a group of very closely related species, all of them cause tuberculosis in man and many other mammals. M. Africanum is one of the member of Mycobacterium tuberculosis complex, frequent sources of this are human or monkey. Environmental source is important for Atypical Mycobacteria (Non Tuberculosis mycobacteria) . Members of M. Tuberculosis complex - M. tuberculosis - M. bovis - M. africanum - M. microti . M. marinum causes swimming pool granuloma.